Which of the following antidepressant drug is used in the treatment of nocturnal eneuresis?
1. Imipramine
2. Fluoxetine
3. Trazodone
4. Sertaline

Correct answer: 1. Imipramine

Explanation: First line of treatment for nocturnal enuresis includes behavioral strategies, when it fails medications are indicated. Drugs usually used includes desmopressin acetate and imipramine. Imipramine is the tricyclic antidepressant of choice in the treatment of nocturnal enuresis. Desmopressin acetate (DDAVP), is an antidiuretic hormone analogue, which acts by decreasing urine production. Ref: Current Diagnosis & Treatment: Pediatrics, 20e chapter 2.